Which of the following drugs can cause torsades'de pointers?
1. Quinidine
2. Lignocaine
3. Esmolol
4. Flecainide

Correct answer: 1. Quinidine

Explanation: class 1A agents, class 3 antiarrythymic agents commonly produce torsades de pointes class 1 a- quinidine, disopyramide, procainamide class 1b agents doesnt produce torsades pointes-eg lidocaine, phenytoin, mexiletine, tocainide flecainide is class 1c REF.Essentials of Pharmacology KD Tripathi 8th ed.